Transitional epithelium is present in -
1. Renal pelvis
2. Loop of Henle
3. Terminal part of urethra
4. PCT

Correct answer: 1. Renal pelvis